Choriocarcinoma commonly metastasize to:
a.Brain
b. Lung
c. Vagina
d. Ovary
e. Cervix
1. ab
2. bc
3. cd
4. de

Correct answer: 2. bc

Explanation: Most common sites of metastases in choriocarcinoma are:
Lung (80%) > Vagina (30%) > Pelvis (20%) > Liver (10%) and Brain (10%)